All are common in Down syndrome, except ?
1. Simian crease
2. Clinodactyly
3. Mother's age > 35 years
4. Respiratory tract infection uncommon

Correct answer: 4. Respiratory tract infection uncommon

Explanation: Ans. is 'd' i.e., Respiratory tract infection uncommon Chronic rhinits, conjunctivitis and periodontal disease are common in Down's syndrome. Lower respiratory tract infections pose a threat to life. Pneumonias are common in patients with Down's syndrome.